This investigation to visualize parathyroids is done using
1. 99mTc sestamibi
2. 99mTc pertechnetate
3. 99mTc exametazime
4. 99mTc MAG3

Correct answer: 1. 99mTc sestamibi

Explanation: 99mTc sestamibi - Parathyroid imaging99mTc pertechnetate - Thyroid, Meckel's diverticulum99mTc exametazime - Cerebral blood flow imaging99mTc MAG3 - Renal imaging